The most common cause of clostridial food poisoning is-
1. Type A
2. Type B
3. Type C
4. Type D

Correct answer: 1. Type A

Explanation: The most common cause of clostridial food poisoning is Cl. perfringens type A. Food poisoning by Clostridium: Cause -Ingestion of cold and warmed up meat dishes. Incubation period - 8 and 24 hours. Clinical feature: Abdominal cramps and watery diarrhea. Usually Absence of nausea, vomiting, or fever--are characteristic presentations of this condition. Self-limiting and recovery within 24-48 hours. Most common cause of gas gangrene- C. perfringens. Type A strains are the most common. These strains produce spores-heat resistant-produce enterotoxin (coded by gene cpe).